The following are the contraindications of tubal reconstructive surgery except
1. Length of tube <4 cms
2. Patients over 30 years of age
3. Pelvic tuberculosis
4. Reversal done after 5 years of sterilization

Correct answer: 2. Patients over 30 years of age

Explanation: Tubal reconstruction surgery can be done for a number of reasons including for reversal of sterilisation procedure. The most favourable outcome is seen when it is done for reversal of sterilisation procedures.
Factors for Poor Outcome Following Tuboplasty
• Dense pelvic adhesions.
• Loss of fimbriae.
• Bilateral hydrosalpinx > 3 cm.
• Length of the reconstructed tube < 4 cm.
• Reversal done after 5 years of sterilization operation.
• Presence of other factors for infertility.